Bruxism is characterized by:
1. Increased mobility of the teeth
2. Radiographic widening of the pdl
3. Morning pain in muscles
4. All the above

Correct answer: 4. All the above